Spring catarrh is –
1. Type I hypersensitivity reaction
2. Type II hypersensitivity reaction
3. Type III hypersensitivity reaction
4. Type IV hypersensitivity reaction

Correct answer: 1. Type I hypersensitivity reaction

Explanation: Spring catarrh is a type I hypersensitivity to exogenous allergens.